The earliest clinical sign of vitamin A deficiency is -
1. Conjunctival xerosis
2. Corneal xerosis
3. Bitots spots
4. Keratomalacia

Correct answer: 1. Conjunctival xerosis

Explanation: Conjuctival xerosis is the early manifestation of vitamin A deficiency. REF. PARK'S TEXTBOOK OF PREVENTIVE AND SOCIAL MEDICAL 21ST EDITION. PAGE NO - 568